Which is not a common enzyme for glycolysis and gluconeogenesis?
1. Aldolase
2. Glucose-6-phosphatase
3. Phosphoglycerate mutase
4. Phosphoglycerate kinase

Correct answer: 2. Glucose-6-phosphatase

Explanation: Seven of the reactions of glycolysis are reversible and are used in the synthesis of glucose by gluconeogenesis. Thus, seven enzymes are common to both glycolysis and gluconeogenesis : (i) Phosphohexose isomerase; (ii) Aldolase; (iii) Phosphotriose isomerase, (iv) Glyceraldehyde 3-phosphate dehydrogenase; (v) Phosphoglycerate kinase; (vi) Phosphoglycerate mutase; (vii) Enolase. Three reactions of glycolysis are irreversible which are circumvented in gluconeogenesis by four reactions. So, enzymes at these steps are different in glycolysis and gluconeogenesis.